AML with FLT-3 mutation is treated by :
1. Crizotinib
2. Gilteritinib
3. Acalabrutinib
4. Ibrutinib

Correct answer: 2. Gilteritinib

Explanation: Gilteritinib inhibits FMS like tyrosine Kinase 3 (FLT-3) and hence used in the treatment of AML with FLT-3 mutation.